A 36-year-old man is diagnosed with a duodenal ulcer after undergoing upper endoscopy. Which of the following is the most common symptom of duodenal ulcer?
1. epigastric pain
2. nausea
3. melena
4. anorexia

Correct answer: 1. epigastric pain

Explanation: The pain may be described as sharp, burning, or gnawing, usually 90 minutes to 3 hours after eating, relieved by food or antacids. The pain frequently awakens the patient at night. Symptoms are usually episodic and recurrent. Periods of remission are usually longer than periods with pain. The ulcer crater can recur or persist in the absence of pain. Only a minority of patients with dyspepsia are found to have an ulcer on endoscopy.